HIV binds to macrophages having
1. CD4 molecule
2. CD4 & CXCR molecules
3. CD4 & CCR5 molecule
4. CXCR & CCR5 molecules

Correct answer: 3. CD4 & CCR5 molecule